Most sensitive test for HIV
1. ELISA
2. western blot
3. Lymph node biopsy
4. Southern blot

Correct answer: 1. ELISA

Explanation: Most sensitive test for HIV is ELISA.